Uretheritis is seen in
1. Reiter's disease
2. Gout
3. Rheumatoid arthritis
4. PAN

Correct answer: 1. Reiter's disease

Explanation: Sexually acquired reactive arthritis (SARA) is predominantly a disease of young men, with a male preponderance of 15 : 1. This may reflect a difficulty in diagnosing the condition in young women, in whom Chlamydia infection is often asymptomatic and is hard to detect in practical terms. Between 1% and 2% of patients with non-specific urethritis seen at genitourinary medicine clinics have SARA . The syndrome of chlamydial urethritis, conjunctivitis and reactive arthritis was formerly known as Reiter's disease . The diagnosis is usually made clinically but joint aspiration may be required to exclude crystal arthritis and articular infection. ESR and CRP are raised, urethritis may be confirmed in the 'two-glass test' by demonstration of mucoid threads in the first-void specimen that clear in the second. High vaginal swabs may reveal Chlamydia on culture. Except for post-Salmonella arthritis, stool cultures are usually negative by the time the arthritis presents but serology may help confirm previous dysentery. RF, ACPA and ANA are negative Ref - Davidsons 23e p1031